Innermost layer of retina is composed of
1. Bipolar cells
2. Amacrine cells
3. Rods and cones
4. Ganglionic cells

Correct answer: 4. Ganglionic cells